A.M.L. with worst prognosis among the following is:
1. 8/21 translocation
2. Inversion 16
3. Normal cytogenetics
4. Monosomy 7

Correct answer: 4. Monosomy 7

Explanation: Monosomy 7 is the second most frequent cytogenetic abnormality in the marrow cells of patients with myelodysplasia. It often occurs in marrow cells of subjects exposed to chemicals or radiation and is associated with a poor prognosis and rapid transformation to AML. The syndromes usually are not associated with special clinical features in adults, but in children they are characterized by an atypical myeloproliferative disorder or myelomonocytic leukemia with abnormal expression of the neurofibromatosis (NF1) and Wilms tumor (WT1) genes, unusual susceptibility to infection, and a rapid termination in acute leukemia. Ref:Liesveld J.L., Lichtman M.A. (2010). Chapter 88. Myelodysplastic Syndromes (Clonal Cytopenias and Oligoblastic Myelogenous Leukemia). In J.T. Prchal, K. Kaushansky, M.A. Lichtman, T.J. Kipps, U. Seligsohn (Eds), Williams Hematology, 8e.